Megalencephaly is commonly seen in ______
1. Down syndrome
2. Tay-Sach's disease
3. Turner syndrome
4. Intauterine infection

Correct answer: 2. Tay-Sach's disease

Explanation: Tay sachs disease:- Autosomal recessive. Low serum beta-hexosaminidase level is the characteristic metabolic defect. As a result GM2 ganglioside accumulates in the neurons. Initially milestones are delayed. Later there is regression of development and death occurs by 2-4 years. The baby has an abnormal startle to response. Convulsions, rigidity of extensor group of muscles and blindness supervene after the first year. A cherry red spot seen over the macular region of retina. The head size increases. Liver and spleen not enlarged. Reference: GHAI essential Paediatrics